Complications of total parenteral nutrition include all except
1. Hyperglycemia
2. Hypoglycemia
3. Hypochloremic alkalosis
4. Electrolyte abnormalities

Correct answer: 3. Hypochloremic alkalosis

Explanation: Hypochloremic alkalosis is mostly due to excessive chloride wasting as in watery diarrhoea, NG tube suctioning, vomitings all others are complications of TPN